Chronic Active Hepatitis is most reliably distinguished from chronic Persistent hepatitis by the presence of
1. Extrahepatic manifestation
2. Significant titre of antismooth muscle antibody
3. Characteristic liver histology
4. Hepatitis B surface antigen

Correct answer: 3. Characteristic liver histology

Explanation: Minimal chronic hepatitis (previously called chronic persistent hepatitis).
The portal chronic inflammation is mild and is restricted to the portal triads without extension into the Liver lobule across the limiting plate.
Chronic active hepatitis → characterized by continuing necrosis of Liver cells. The severe inflammation disrupts the limiting plate.